Non-ejection clicks are heard in
1. Aortic stenosis
2. Atrial myxoma
3. Mitral regurgitation
4. Mitral valve prolapse

Correct answer: 4. Mitral valve prolapse

Explanation: (D) Mitral valve prolapse > Mitral valve prolapse displacement of mitral leaflet into left atrium.